Functional unit for implementation of National Mental Health Programme is at which level?
1. District
2. Subcentre
3. PHC
4. State

Correct answer: 1. District

Explanation: The Government of India has launched theNational Mental Health Programme(NMHP) in 1982, keeping in view the heavy burden of mental illness in the community, and the absolute inadequacy of mental health care infrastructure in the country to deal with it. Principal unit of Health administration in India is District under a collector. All National health programmes in India are implemented district wise.